35 year old female patient presents with dysmenorrhea, not associated with nausea or vomiting. She has history of menorrhagia. Her urine pregnancy test being negative, has symmetric enlarged tender uterus. She undergoes hysterectomy and the specimen is shown below. Diagnosis
1. Endometrial cancer
2. Adenomyosis
3. Cervical cancer
4. Endometrial hyperplasia

Correct answer: 2. Adenomyosis

Explanation: The specimen shows spongy, trabeculated myometrium texture suggestive of Adenomyosis.